Which toxin acts by ADP ribosylation-a) Botulinum toxinb)  Shiga toxinc) V.cholerae toxin d) Diphtheria toxine) Pertussis toxin
1. cde
2. acd
3. bde
4. ade

Correct answer: 1. cde